Drug of choice in dermatitis herpetiformis is:
1. Corticosteroids
2. Colchicine
3. Dapsone
4. Chloroquine

Correct answer: 3. Dapsone

Explanation: Ans. (c) DapsoneRef. katzung 11th ed. /1468* Dermatitis herpetiformis is a chronic blistering skin condition, characterised by blisters filled with a watery fluid.* DH is neither related to nor caused by herpes virus: the name means that it is a skin inflammation having an appearance similar to herpes.* It characterized by intensely itchy, chronic papulovesicular eruptions, usually distributed symmetrically on extensor surfaces (buttocks, back of neck, scalp, elbows, knees, back, hairline, groin, or face).* Diagnosis is confirmed by a simple blood test for IgA antibodies, and by a skin biopsy in which the pattern of IgA deposits in the dermal papillae, revealed by direct immunofluorescence, distinguishes it from linear IgA bullous dermatosis and other forms of dermatitis.* Treatment: Dapsone is considered as drug of choice for DH.* In case of intolerance to dapsone, other drugs which can be used are: Colchicine, Tetracycline, Sulfapyridine.